VWF factor deficiency causes:
1. | Platelet adhesion
2. | Factor VIII in plasma
3. Defective platelet adhesion
4. All of the above

Correct answer: 4. All of the above

Explanation: Deficiency of Von willebrand factor (VWF -promote platelet adherence and activation) causes | Platelet adhesion ( |BT ) | Intrinsic pathway activity ( | aPTT) | Factor VIII in plasma C/F Mucosal bleeding - Petechiae /purpura /epistaxis / melena Tissue bleeding Rx - Desmopressin for mild form - Cryoprecipitate for severe form